Nonsense or genetic codons are what in number?
1. 2
2. 3
3. 4
4. 5

Correct answer: 2. 3

Explanation: Ans. b (3). (Ref. Harper Biochemistry, 25th ed., 453).START AND STOP CODONS1AUG (or rarely GUG) is the mRNA initiation codon(Key:--AUG inaugurates protein synthesis).2AUG codes for methionine, which may be removed before translation is completed.3Stop/non-sense/genetic codons: UGA, UAA, UAG.(Key:--UGA-U go Away, UAA--U Are Away, UAG--U Are Gone)4There are 43(64) possible codon sequences because mRNA is composed of 4 bases and each codon is made up of 3 bases.5Cycloheximide acts by inhibiting protein synthesis in eukaryotes by binding to 60s ribosomal sub-unit and inhibiting peptidyl transferase.